All are risk factors for antituberculosis treatment related hepatotoxicity, EXCEPT:
1. CYP2E1 status
2. HLA haplotype associations
3. Female gender
4. HBeAg negative hepatitis B

Correct answer: 4. HBeAg negative hepatitis B

Explanation: Risk factors for antituberculosis treatment related hepatotoxicity are CYP2E1 status HLA haplotype associations Female gender Age > 60 Serum albumin < 3.5 mg/L Pre existing chronic liver disease Multidrug regimens Daily Regimens Excess alcohol consumption Ref: Schiff's diseases of liver, E-11, P-727